Gitelman's Syndrome differs from Bartter's Syndrome in all except:
1. Less common
2. Later age of presentation
3. Prominent neuromuscular signs and symptoms
4. Generally milder clinical course

Correct answer: 1. Less common

Explanation: Gitelman's syndrome is more common than Bartter's syndrome and has a generally milder clinical course with a later age of presentation. It is characterized by prominent neuromuscular symptoms and signs, including fatigue, weakness, carpopedal spasm, cramps, and tetany.